Amino acid which lacks chirality:
1. Lysine
2. Leucine
3. Histidine
4. Glycine

Correct answer: 4. Glycine

Explanation: All amino acids except glycine have four different groups attached to the alpha carbon. As a result, all amino acids have at least one asymmetric center (the alpha carbon). We call a compound with such an arrangement 'chiral. ' The two chiral forms of amino acids are called 'D' and 'L'.
The general formula for an amino acid is: